All of the following are seen in post-traumatic stress disorder (PTSD), EXCEPT:
1. Emotional numbing
2. Hallucinations
3. Hyper arousal
4. Flashbacks

Correct answer: 2. Hallucinations

Explanation: It is a simple question if we understand the differentiation between neurotic and psychotic illness. PTSD is a neurotic disorder Hallucinations are a psychotic symptom Depression is the only illness that comes under neurotic illnesses but can develop psychotic symptoms . PTSD is characterized by: A.Intrusive symptoms- Re experiencing trauma in form of flashback, vivid dreams,nightmares B.Avoidance C.Arousal symptoms- Hypervigilance, insomnia, exaggerated startle response ,Emotional numbing and Anhedonia . Symptoms must last for 1 month to diagnose as PTSD.